Why carpopedal spasm seen in hyperventilation:
1. Increased sequestration of Ca in SER
2. Increased plasma protein binding of Ca
3. Ca utilized in bones
4. Increased excretion of calcium in urine

Correct answer: 2. Increased plasma protein binding of Ca

Explanation: Hyperventilation | Alkalosis | increase in plasma protein binding to Ca++ | Overall decrease in serum Ca++ | Carpopedal spasm. At plasma calcium ion concentrations about 50 percent below normal, the peripheral nerve fibers become so excitable that they begin to discharge spontaneously, initiating trains of nerve impulses that pass to the peripheral skeletal muscles to elicit tetanic muscle